A 25yr old male with thyroid swelling Biopsy shows intense lymphocytic infiltration along with hurthle cell change TSH increased
1. Hashimoto's thyroiditis
2. Grave's disease
3. follicular carcinoma
4. Medullary carcinoma thyroid

Correct answer: 1. Hashimoto's thyroiditis

Explanation: Hashimoto's Thyroiditis Biopsy features of lymphocytic infiltrate along with hurthle cell change in thyroid swelling is diagnostic of hashimoto's thyroiditis ref : robbins 10th ed